True about intrauterine fetal death (IUD) :
1. Gas bubbles in great vessels
2. Amniotic fluid volume
3. Overlapping of skull bone
4. All of the above

Correct answer: 4. All of the above

Explanation: Ans. is a, b and c i.e. Gas bubbles in great vessels; Overlapping of skull bone; and Decreased amniotic fluid volume